Gamma Gandy bodies contain hemosiderin and
1. K+
2. Ca2+
3. Mg2+
4. Li+

Correct answer: 2. Ca2+

Explanation: Gamna-Gandy bodies
Seen in CVC of spleen is characterised by calcific deposits admixed with haemosiderin on fibrous tissue.